Early age of sex is risk factor for
1. Carcinoma cervix
2. Carcinoma vulva
3. Carcinoma vagina
4. Carcinoma ovary

Correct answer: 1. Carcinoma cervix

Explanation: Ans. A. Carcinoma cervixEarly Coitarche (early age of first intercourse) is a risk factor for carcinoma cervix.